While evaluating the heart of a 29-year old primigravida at term you notice that there is S2 & S3 which are easily audible and a systolic ejection murmur greater during inspiration, you immediately recognize that...
1. The presence of S3 is abnormal
2. The systolic ejection murmur is unusual in a pregnant woman at term
3. Wide pulse pressure is rare in pregnant women
4. All findings recorded are normal changes in pregnancy

Correct answer: 4. All findings recorded are normal changes in pregnancy

Explanation: In Pregnancy Heart rate increases by about 10 to 15/min. Exaggerated splitting of the first heart sound Increased loudness of both S1& S2 components, A loud easily heard S3 >95% develop systolic murmur which disappears after delivery. 20% have a transient diastolic murmur. 10% develop continous murmur due to increase mammary blood flow.